In an uncomplicated case of alcohol withdrawal, the drug which can be given safely is -
1. Benzodiazepines
2. Clonidine
3. Morphine
4. Disulfiram

Correct answer: 1. Benzodiazepines